On mammogram all of the following are the features of a malignant tumor except
1. Spiculation
2. Microcalcification
3. Macrocalcification
4. Irregular mass

Correct answer: 3. Macrocalcification

Explanation: Mammographic features suggestive of breast cancer A solid mass with or without stellate features Asymmetric thickening of breast tissues Clustered microcalcification Presence of fine, stippled calcium in and around a suspicious lesion is suggestive of breast cancer and occurs in as many as 50% of nonpalpable cancers These microcalcifications are especially important sign of cancer in younger women, in whom it may be the only mammographic abnormality Ref:Sabiston 20th edition Pgno : 828